Tetracycline should be avoided from:
1. 4 months to 8 years after birth
2. 4 months in utero to 8 years after birth
3. 4 weeks in utero to 8 years after birth
4. 12 weeks in utero to 8 years after birth

Correct answer: 2. 4 months in utero to 8 years after birth

Explanation: Tetracycline when given from mid-pregnancy to 5 months of extrauterine life, the deciduous teeth are affected with discoloration. When given between 3 months to 6 years of age, they affect the crowns of permanent anterior dentition. They should be avoided from 4 months in utero to 8 years.